PGs in semen is secreted by
1. Prostate
2. Seminal vesicle
3. Sperms
4. Testes

Correct answer: 2. Seminal vesicle

Explanation: The seminal vesicles secrete a significant proportion of the fluid that ultimately becomes semen. Lipofuscin granules from dead epithelial cells give the secretion its yellowish color. About 50-70% of the seminal fluid in humans originates from the seminal vesicles, but is not expelled in the first ejaculate fractions which are dominated by spermatozoa and zinc-rich prostatic fluid.Ref: Ganong's review of medical physiology; 24th edition; page no:-419